Most sensitive investigation of thyroid nodule:
1. MRI
2. PET Scan
3. USG
4. Clinical examination

Correct answer: 3. USG

Explanation: PET scan are not routinely used in the evaluation of thyroid nodules, however, they may show clinically occult thyroid lesions. USG is the most sensitive method for diagnosing intrathyroid lesions. CT and MRI are neither specific nor sensitive in diagnosing the intrathyroid lesions.